Acquired megacolon in children most commonly occurs due to:
1. Psychological problems
2. Bad bowel habit
3. Chaga's disease
4. Hirschsprung's disease

Correct answer: 2. Bad bowel habit

Explanation: Megacolon:abnormal dilatation of colon that is not caused by mechanical obstruction Types of megacolon: Congenital megacolon- Hirschsprung disease Acquired megacolon: Poor bowel habit (MC), infections (Chagas disease), idiopathic, antipsychotic drugs.